True about late expanding phase of demographic cycle
1. Birth rate is lower than the death rate
2. Death rate begins to decline, while the birth rate remains unchanged
3. Death rate declines still further, and the birth rate tends to fall
4. High birth rate and high death rate

Correct answer: 3. Death rate declines still further, and the birth rate tends to fall